Eight months old child had history of unusual crying and convulsions following previous vaccination after BCG, DPT & OPV (first dose) and Hepatitis B. Now parents have brought child for next doses of vaccination. Which vaccine is contraindicated in this situation?
1. Measles
2. DPT
3. Hepatitis B
4. DT

Correct answer: 2. DPT

Explanation: Unusual crying following DPT is most likely to be Persistent Inconsolable Screaming. Similarly, convulsions are most likely to be d/t DPT. Hence, DPT should not be given subsequently. It can be replaced by DT.